'Scalloping' of the edge of sigmoid colon on barium enema seen in:
1. Diverticulosis
2. Ulcerative colitis
3. Carcinoma colon
4. Pneumatosis intestinalis

Correct answer: 4. Pneumatosis intestinalis

Explanation: Ans. Pneumatosis intestinalis